Which structure(s) passes behind the inguinal ligament -a) Femoral branch of genitofemoral nerveb) Superficial epigastric arteryc) Psoas majord) Femoral veine) Saphenous vein
1. abc
2. ad
3. bc
4. acd

Correct answer: 4. acd

Explanation: Structures passing deep to inguinal ligament.
-        Psoas major, Iliacus, pectineus
-        Femoral nerve and vessels
-        Lateral cutaneous nerve of thigh
-        Femoral branch of genitofemoral nerve
-        Lymphatics